Puerperal sepsis can occur upto
1. 1 week
2. 2 weeks
3. 3 weeks
4. 6 weeks

Correct answer: 4. 6 weeks

Explanation: Infection of genital tract which occurs as a complication of delivery is termed puerperal sepsis Puerperium lasts until 6 weeks after delivery Ref: Dutta Obs 9e pg 406.